All are tocolytics except :
1. Ritodrine
2. Terbutaline
3. Misoprostol
4. Nicardipine

Correct answer: 3. Misoprostol

Explanation: Misoprostol